The left testicular veins drain into the -
1. Left renal vein
2. IVC
3. Rt. Renal vein
4. Int. iliac vein

Correct answer: 1. Left renal vein